Which anti-tubercular drug combination is safer in a patient who develops hepatitis while on ATT?
1. Streptomycin + Isoniazid
2. Streptomycin + Ethambutol
3. Ethambutol + Isoniazid
4. Ethambutol + Rifampicin

Correct answer: 2. Streptomycin + Ethambutol

Explanation: Streptomycin and Ethambutol are the only antitubercular drugs which have no hepatotoxicity thus are safer in a patient who develops hepatitis while on ATT as they dont have hepatic metabolism and are excreted by kidneys only. IMPORTANT POINTS ABOUT FIRST LINE ATT: Drug Action Hepatotoxic Bacteria Inhibited Isoniazid CIDAL Yes Both Rifampicin CIDAL Yes Both Pyrazinamide CIDAL Yes Intracellular Ethambutol STATIC No Both Streptomycin CIDAL No Extracellular